Open reduction is indicated in
1. clavicle
2. both bone forearm in children
3. lateral condyle humerus
4. supra condyle humerus

Correct answer: 3. lateral condyle humerus

Explanation: Ans. is 'c' i.e. lateral condyle humerus lateral condyle humerusis commonly displaced and is treated by OR & IF with K wires*Treatment of clavicle -Conservative figure of 8 bandage *Treatment of both bones fore arm in children -In children these fractures are often undisplaced or minimally displaced therefore managed conservatively - CR & immobilization in an above elbow plaster cast. forearm in adultsis often displaced so treatment by OR & IF.Treatment of supracondylar humerusMostly conservative - CR immobilization in an above elbow plaster slab with the elbow in hyperflexionon failure of conservative methods sometimes OR & IF with K wires is done.